ANCA positive vasculitis
1. Henoch schonlein purpura
2. Behcet's syndrome
3. Wegener's granulomatosis
4. All

Correct answer: 3. Wegener's granulomatosis

Explanation: Ans. is 'c' i.e., Wegener's granulomatosis